The screening method of choice in an area where the prevalence of leprosy is 1/1000 is -
1. Contact survey
2. Group survey
3. Mass survey
4. Any of the above

Correct answer: 2. Group survey